Therapeutic use of acetylcholine is not possible because it is -
1. Highly protein bound
2. Rapidly degraded
3. Repidly excreted
4. Orally ineffective

Correct answer: 2. Rapidly degraded

Explanation: Ans. is 'b' i.e., Rapidly degraded o Acetylcholine is not used clinically because : I. It is metabolized very quickly by cholinesterase in plasma and is not effective even by i.v. route. 2. Action is nonselective